Acute hemorrhagic conjunctivitis -
1. CoxsakieA24
2. Newcastle conjunctivitis
3. Measels
4. Mumps

Correct answer: 1. CoxsakieA24

Explanation: Ans. is 'a' i.e., Coxsakie A24 Acute Hemorrhagic Conjunctivitis -o Acute hemorrhagic conjunctivitis, also known as Apollo disease, is mainly caused by two picornaviruses :-(i) Enterovirus 70 (most common)(ii) Coxsackievirus A24.o Less commonly, Adenovirus type 11 can also cause acute hemorrhagic conjunctivitis.o The signs of the disease include rapid onset of severe, painful follicular conjunctivitis with chemosis, tearing, lid edema and the development of tiny subconjunctival hemorrhage. The cornea may be involved with a fine punctate keratitis and rarely, subepithelial opacities.